True about nasal myiasis -
1. Commonly occurs in ethmoidal polys patient
2. Results from the ova of fly chrysomia
3. Treated by nasal saline instillation
4. Cannot cause death of the patient

Correct answer: 2. Results from the ova of fly chrysomia

Explanation: Ans. is 'b' i.e., Results from the ova of fly chrysomia Nasal myiasis (Maggots in the nose)o It results from the presence of ova of flies particularly chrysomia species in the nose which produce ulceration and destruction of the nasal structure. Mostly seen in atrophic rhinitis when the mucosa becomes insensitive to flies laying eggs inside.Clinical featureso Initial symptoms (3-4 days maggots) Intense irritation, sneezing, headache, bloodstained discharge. lacrimation.o Later Maggots may crawl out of the nose and there is a foul smell.Complicationso Destruction of nose, sinuses, soft tissues of face, palate, and eyeball. Fistulae in nose and palate. Death occurs due to meningitis.Treatmento Chloroform water or vapor must be instilled in order to anesthetize or kill the maggots and so release their grip on the skin.